Which does not contribute to Enterobillary Fistula -
1. Duodenal ulcer
2. Gall stones
3. Gastric ulcer
4. Carcinoma gall bladder

Correct answer: 3. Gastric ulcer